All can cause R.P.G.N. except -
1. Minimal change glomerulonephrits
2. Poststreptococcal glomerulonephritis
3. Wegener granulomatosis
4. S.L.E.

Correct answer: 1. Minimal change glomerulonephrits

Explanation: Minimal change nephropathy Minimal change disease occurs at all ages but accounts for most cases of nephrotic syndrome in children and cannot cause RPGN and about one-quarter of adult cases. It is caused by reversible dysfunction of podocytes. On light microscopy, the glomeruli appear normal , but fusion of podocyte foot processes is observed on electron microscopy. The presentation is with nephrotic syndrome, which typically is severe; it remits . Ref Harrison20th edition pg 297